Multi-drug resistance tuberculosis implies resistance to at least -
1. Any two antitubercular drugs
2. Isoniazid and ethambutol
3. Rifampicin and ethambutol
4. Isoniazid and rifampicin

Correct answer: 4. Isoniazid and rifampicin

Explanation: Multidrug-resistant TB is defined by resistance to atleast rifampicin & isoniazid, with or without other drug resistance . Extensively drug resistant TB is defined as resistance to atleast rifampicin & isoniazid in addition to any quinolone & atleast one injectable second -line agent. Reference: Harrison20th edition pg 1056